A 40 years old P4+2 female has been diagnosed to have H.mole. The treatment would be:
1. Radiotherapy
2. Chemotherapy
3. Total hysterectomy
4. Radio-Chemotherapy

Correct answer: 3. Total hysterectomy

Explanation: “If no further pregnancies are desired, hysterectomy may be preferred to suction curettage. It is a logical procedure in women aged 40 or older because atleast a third of these women will go on to develop gestational trophoblastic neoplasia.”
William Obs 23/e, p 261